Which is not true regarding thoracic inlet syndrome -
1. Most commonly radial nerve
2. Resection of 1st rib is effective t/t
3. Physiotherapy and position exercises relieves symptom
4. Neurological signs and symptoms are common.

Correct answer: 1. Most commonly radial nerve